A 48 yr old woman comes with b/1 progressive weakness of both lower limbs, spasticity & mild impairment of respiratory movements. MRI shows an intradural mid-dorsal midline enhancing lesion. What is the likely diagnosis:
1. Intradural lipoma
2. Meningioma
3. Neuroenteric cyst
4. Dermoid cyst

Correct answer: 2. Meningioma

Explanation: B i.e. Meningioma